Which of the following is a test for brucellosis -
1. Milk ring test
2. Stomach bowel test
3. Rose waller test
4. Paul bunnel test

Correct answer: 1. Milk ring test

Explanation: Ans. is 'a' i.e., Milk ring test o Tests for detection of brucellosis in herds of cattle.Rapid plate agglutination testRose bengal card testo Tests to detect antibodies in milk.Milk ring testWhey agglutination test